A/E is under the control of hypothalamus:
1. Increases heart rate with exercise
2. Food intake
3. Pituitary hormone regulation
4. Temperature regulation

Correct answer: 1. Increases heart rate with exercise

Explanation: Ans. is 'a' is increase heart rate with exercise Increase in heart rate with exercise in mainly under the medullary control*.All other options are under the hypothalamic controlTemperature regulationAnterior hypothalamus* controls the response to heat*Posterior hypothalamus* controls the response to cold*Food intakeFeeding centre is located in lateral hypothalamus*Satiety centre is located in ventromedial nucleus of hypothalamus*Pituitary hormone regulationHypothalamus controls the pituitary secretion by Hypothalamus - Hypophyseal axis*Other body functions under hypothalamusThirst*Sexual behaviour* (That's Interesting !)Defensive reactions*Circadian rhythm*